All the following radioisotopes are used in painful body metastasis except
1. Strontium-89
2. Samarium-153
3. Tin-117
4. Yttrium

Correct answer: 4. Yttrium

Explanation: Yttrium is used in Medical Synovectomy.